A 6 month old infant is brought with a history of constipation and excessive sleepiness. On exmination, he is lethargic, has periorbital puffines, large tongue and umbilical hernia. The investigation which will help to diagnose this condition is ?
1. T4 TSH assay
2. Karyoptyping
3. Rectal mucosal biopsy
4. Knee X ray

Correct answer: 1. T4 TSH assay

Explanation: Ans. is 'a' i.e., T4 TSH assary o It is typical presentation of hypothyroidism.